Risk of breast carcinoma is most likely with which of the following conditions?
1. Sclerosing adenosis
2. Atypical epithelial hyperplasia
3. Fibrocystic change
4. Apocrine metaplasia

Correct answer: 2. Atypical epithelial hyperplasia

Explanation: Proliferative disease with atypia includes atypical lobular hyperplasia (ALH) and atypical ductal hyperplasia (ADH). Atypical ductal/lobular hyperplasia is associated with 4-5 times relative risk of breast carcinoma compared to non-proliferative breast changes. Conditions with lesser risk for carcinoma:- Sclerosing adenosis Fibrocystic change Apocrine metaplasia Duct ectasia Also know: Nonproliferative disease consists of three major morphologic changes: cysts, fibrosis, and adenosis. It is termed "nonproliferative" because the lesions contain single layers of epithelial cells. The most common nonproliferative breast lesions are simple cysts lined by a layer of luminal cells that often undergo apocrine metaplasia Proliferative disease without atypia includes epithelial hyperplasia, sclerosing adenosis, complex sclerosing lesion, and papilloma.